Which of the following childhood tumors most frequently metastasizes to the bone?
1. Neuroblastoma
2. Ganglioneuroma
3. Wilms' tumor
4. Ewing's sarcoma

Correct answer: 1. Neuroblastoma

Explanation: BONE: Osteosarcoma/Neuroblastoma/Ewing's Sarcoma (Maximum incidence of a particular tumor type). Neuroblastoma is the Most Common Tumor to have Bone Metastasis in Children